Which of the following organism is biggest -
1. Balantidium coli
2. Entamoeba coli
3. Escherichia coli
4. Entamoeba histolytica

Correct answer: 1. Balantidium coli

Explanation: largest protozoal parasite of human Lives in large intestine Two stages- trophozoite and cyst (refer pgno:82 baveja 3 rd edition )